Barrett's esophagus is -
1. Lower esophagus lined by columnar epithelium
2. Upper esophagus lined by columnar epithelium
3. Lower esophagus lined by ciliated epithelium
4. Lower esophagus lined by pseudostratified epithelium

Correct answer: 1. Lower esophagus lined by columnar epithelium

Explanation: Barrett's esophagus

Is the metaplastic change, of gastroesophageal mucosa from normal squamous epithelium to columnar epithelium, in response to chronic gastroesophageal reflux.
The function between squamous esophageal mucosa and gastric mucosa moves proximally
Three types of columnar epithelium have been described in Barrett's esophagus :

1. Intestinal type - the most common type
2. The junctional type and
3. The gastric Jaundice type

Barrett's esophagus is a premalignant condition for adenocarcinoma esophagus
The hallmark of intestinal metaplasia is the presence of intestinal goblet cells.